Arnold head is a feature of:
1. Fibrous dysplasia.
2. Paget's disease.
3. Cleidocranial dysplasia.
4. Cherubim.

Correct answer: 3. Cleidocranial dysplasia.

Explanation: Cleidocranial dysplasia is characterized by abnormalities of skull, shoulder girdle, jaws and teeth. In the skull, delayed closing of sutures and wormian bones are common. The characteristic skull abnormalities are sometimes referred to as "Arnold head".